Vogt's triad of primary Angle closure glaucoma does not include
1. Fixed pupils
2. Glaucoma flackens
3. Pigment deposition on Corneal endothelium
4. Patches of Iris atrophy

Correct answer: 1. Fixed pupils

Explanation: Vogt's triad of primary Angle closure glaucoma include 

Glaucoma flackens.
Pigment deposition on Corneal endothelium.
Patches of Iris atrophy.